Sympathetic cholinergic transmission is seen in -
1. Sweat glands
2. Renal vessels
3. GT vessels
4. Heart

Correct answer: 1. Sweat glands

Explanation: Ans. is 'a' i.e., Sweat glandso Neurotransmitter in all preganglionic autonomic nerves (both sympathetic and parasympathetic) is acetylcholine (ACH).o Neurotransmitter in all ganglia (both sympathetic and parasympathetic) is acetylcholine. o Neurotransmitter in postganglionic parasympathetic fibres is acetylcholine.o In posganglionic sympathetic fibres, the major neurotransmitter is noradrenaline (NA) except in renal and mesentric vasculature where it is dopamine, in sweat glands, some blood vessels where it is acetylcholine and in adrenal medulla where it is adrenaline.o Most of the visceral organs are supplied by both sympathetic and parasympathetic system except;1) Blood vessels, spleen, sweat glands and hair follicles receive only sympathetic innervation.2) Ciliary muscle gastric and pancreatic glands receive only parasympathetic innervation, o In general sympathetic and parasympathetic systems are antagonistic except;# Refractory period of atrial fibres is decreased by both.o At almost all organs except heart, cholinergic system has excitatory activity and adrenergic system has relaxing properties - Sympathetic system stimulates (Tachycardia, Positive inotropic) and parasympathetic system depresses (Bradycardia, Negative inotropic) the heart.